Which of the following is not supplied by superior gluteal nerve -
1. Tensor fasciaelatae
2. Gluteusmedius
3. Gluteusminimus
4. Gluteusmaximus

Correct answer: 4. Gluteusmaximus

Explanation: Ans. is 'd' i.e., Gluteus maximus o Superior gluteal nerve supplies gluteus medius, gluteus minimus and tensor fascia latae.o Nerve supplying muscles of gluteal region arei) Inferior gluteal nerve : Gluteus maximus.ii) Superior gluteal nerve : Gluteus medius and minimus.iii) Nerve to piriformis : Piriformisiv) Nerve to obturator internus : Obturator intemus, Gemellus superior.v) Nerve to quadratus femoris : Quadratus femoris, Gemellus inferior.